Which one of the following statement is true?
1. The standard error of the mean (SEM) is generally larger than the standard deviation (SD).
2. The standard error of the mean provides a measure of the spread of observation around the mean
3. The mean and standard deviation of random sample will generally be different from the mean and standard deviation of the population.
4. The coefficient of variation is derived from the range.

Correct answer: 3. The mean and standard deviation of random sample will generally be different from the mean and standard deviation of the population.

Explanation: The mean and standard deviation of random sample will generally be different from the mean and standard deviation of the population. * The standard error (SE) measures the variability of sample statistic in relation to the true population characteristic (how accurate the sample mean is as an estimate of the population mean.). * The SEM is generally smaller than the standard deviation (SD). * The standard deviation is the measure of the variability of the observations. * Standard error (SE) = * coefficient of variation = 100